Regarding HIV which of the following is not true ?
1. It is a DNA retrovirus
2. Contains Reverse Transcriptase
3. may infect host CD4 cells other than T lymphocytes
4. Causes a reduction in host CD4 cells at late stage of disease

Correct answer: 1. It is a DNA retrovirus

Explanation: Ans. is 'a' i.e., It is a DNA retrovirus HIV is a RNA virus (not DNA) It contains reverse transcriptase enzyme, which is a characteristic feature of retroviruses. The receptor for the virus is the CD4 antigen on surface. The cells affected are : - CD4 T Cells (major target) - B lymphocytes - Monocytes and macrophages - Langerhans cells in dermis Glial cells and microglia in the CNS - Follicular dendritic cells from tonsils can be infected by HIV without the involvement of CD4 CD4 T cells are reduced and T4:T8 Cell ratio is reversed